The most common site of implantation in ectopic pregnancy is -
1. Ampulla
2. Fimbriae
3. Body
4. Infundibulum

Correct answer: 1. Ampulla

Explanation: Ans-A Ampulla .The most common site of ectopic pregnancy is a fallopian tube (as if and in fallopian tube the most common site is Ampulla (55%).Sites of ectopic pregnancy in fallopian tube in decreasing order of frequency :AmpullaIsthmusInfundibulumInterstitial